A 60 year old female is suffereing from renal failure and is on hemodialysis since last 8 years. She developed carpal tunnel syndrome. Which of the following will be associated?
1. AL
2. AA
3. ATTR
4. Beta 2 microglobulin

Correct answer: 4. Beta 2 microglobulin

Explanation: Ans. is 'd' i.e., Beta2 microglobulino Patient on long-term hemodialysis for renal failure develop amyloidosis as a result of deposition of beta2 microglobulin.